All of the following are features of flat type of pelvis except: (Repeat)
1. Narrow subpubic angle
2. Short concave sacrum
3. Divergent side walls
4. Wide sciatic notch

Correct answer: 1. Narrow subpubic angle

Explanation: Ans: A (Narrow subpubic angle) Ref : Grays Anatomy 40th Ed pg.1329Explanation:All pelvic measurements display individual variation and the values quoted are means from limited surveys.Sexual and racial differences also occur.Many attempts to classify human pelves, especially female.The four most common terms used today are gynaecoid, anthropoid, platypelloid and android.GynaecoidThe gynaecoid pelvis is the traditional Western female pelvis with a heart-shaped brim and the range of measurements quoted above.Anthropoid pelvisAn anthropoid pelvis has a larger midcavity and a wide anteroposterior inlet which is oval in shapeIt is more common in women of African origin and may be associated with a 'high assimilation' pelvis where there is an additional lumbar vertebra.Platypelloid pelvisA platypelloid pelvis is flat and oval from side to side at the brimit is a contracted pelvis that is rarely seen nowadays, having previously been associated with rickets.Android pelvisAn android pelvis has a triangular brim and is the shape of a male pelvis.